The term MHC restriction refers to which of the following statements?
1. Inheritance of MHC molecules
2. Need for antigen to be recognized in association with MHC molecules
3. Need for MHC genes to control complement activity
4. Need for MHC molecules in order to reject grafts

Correct answer: 2. Need for antigen to be recognized in association with MHC molecules

Explanation: MHC class I- or class II-restriction means that T cells recognize antigen peptide fragments only when they are presented in the antigen-recognition site of a class I (for CD8+ T cells) or class II MHC molecule(for CD4+ T cells), respectively.